Thyroid carcinoma -
1. Is often associated with hypothyroidism
2. Often produces hyperthyroidism
3. Is usually euthyroid
4. Occurs in toxic nodules

Correct answer: 3. Is usually euthyroid